All are true for conversion reaction except -
1. Secondary gain
2. Onset in late age
3. Patient does not consciously produce symptoms
4. Relation with stress

Correct answer: 2. Onset in late age

Explanation: The onset of conversion disorder is generally from late childhood to early adulthood and is rare before 10 years of age or after 35 years of age.